Most common site of salivary gland tumor is?
1. Parotid salivary gland
2. Submandibular salivary gland
3. Sublingual gland
4. Submaxillary gland

Correct answer: 1. Parotid salivary gland

Explanation: Ans. is 'a' i.e., Parotid salivary gland * Most common salivary gland tumor - Pleomorphic adenoma (mixed tumor).* Site of Pleomorphic adenoma - Parotid > Submandibular > minor salivary glands